A scooter is hit from behind. The rider is thrown off and he lands with his head hitting the kerb. He does not move, complains of severe pain in the neck and is unable to turn his head. Well-meaning onlookers rush up to him and try to make him sit up. What would be the best course of action in this situation?
1. He should be propped up and given some water to drink
2. He should not be propped up but turned on his face and rushed to the hospital
3. He should be turned on his back and a support should be placed behind his neck and transported to the nearest hospital
4. He should not be moved at all but carried to the nearest hospital in the same position in which he has been since his fall.

Correct answer: 3. He should be turned on his back and a support should be placed behind his neck and transported to the nearest hospital

Explanation: Patients are usually transported to the emergency department on a hard backboard with neck immobilized by hard cervical collor.
The head and neck to be aligned with the long axis of trunk and immobilized in supine position.
The patient should be secured so that in the event of emesis; the backboard may be rotated 90° while the patient remains fully immobilize in a neutral position.